Which condition is associated with Bilateral pulselessness in hand?
1. Giant cell arteritis
2. Takayasu arteritis
3. Kawasaki disease
4. Polyarteritis nodosa

Correct answer: 2. Takayasu arteritis

Explanation: Takayasu arteritis is a granulomatous vasculitis of mediumsized and larger arteries characterized principally by ocular disturbances and marked weakening of the pulses in the upper extremities (hence the alternate name, pulseless disease). This disorder manifests with transmural scarring and thickening of the aorta--particularly the aortic arch and great vessels--with severe luminal narrowing of the major branch vessels. (Robbins basic pathology,9th edition,pg no.352)